All can cause recurrent pulmonary infection except
1. VSD
2. Recurrent LVF
3. TOF
4. ASD

Correct answer: 3. TOF

Explanation: Ref Harrison 19 th ed pg 1526 TOF doesnit predispose infections because : The severity of RV outflow obstruction determines the clinical presentation. The severity of hypoplasia of the RV outflow tract varies from mild to complete (pulmonary atresia). Pulmonary valve stenosis and supravalvular and peripheral pulmonary arterial obstruction may coexist; rarely, there is unilateral absence of a pulmonary artery (usu- ally the left). A right-sided aortic arch and descending thoracic aorta occur in ~25%.